Carriers are important in all the following except-
1. Polio
2. Typhoid
3. Measles
4. Diphtheria

Correct answer: 3. Measles

Explanation: The only source of infection of measles is a case of measles. Carriers are not known to occur. There is some evidence to suggest that sub clinical measles occurs more often than previously thought.